Extra - articular manifestations of RA are all except
1. Rheumatoid nodule
2. Pericarditis
3. Spleen atrophy
4. Osteoporosis

Correct answer: 3. Spleen atrophy

Explanation: Ref - Davidsons 23e p1024